A female has hypopigmented lesion on centre of forehead. The drug responsible is?
1. Hydroquinone
2. Monobenzyl ether of hydroquinone
3. Para tertiary butyl catechol
4. Para tertiary butyl phenol

Correct answer: 4. Para tertiary butyl phenol

Explanation: It is because of allergic reaction to the glue (Para tertiary butyl phenol) present in bindi , so commonly seen in female. Contact leucoderma: Monobenzyl ether of hydroquinone is present in rubber, is most potent depigmentary agent. Para tertiary butyl catechol is present in hair dye. Para tertiary butyl phenol is present in bindi